Best indication foe testicular biopsy in male is:
1. Polyspermia
2. Oligospermia
3. Necrospermia
4. Azoospermia

Correct answer: 4. Azoospermia

Explanation: Testicular Biopsy in Male Infertility The testis biopsy provides direct information regarding the state of spermatogenesis Abnomalities of seminiferous tubules architecture and cellular composition are then categorized into several patterns. This procedure is most useful in the azoospermia patient, in which it is often difficult to distinguish between a failure of sperm production and obstruction within reproductive tract ducts. A testis biopsy allows definitive delineation between these 2 conditions and can guide further treatment options in azoospermic men. Testis biopsies may also be indicated to identify patients at high risk for intratubular germ cell neoplasia. This premalignant condition exists in 5% of men with a contralateral germ cell tumour of the testis and is more prevelent in infertile than fertile men. Ref: Smith 18th edition Pgno: 699